The Triat in which the parents are clinically normal and only siblings are affected but males and females are affected in equal proportions is:
1. AD
2. AR
3. XLD
4. XLR

Correct answer: 2. AR

Explanation: AR